The tympanic note on percussion in Traube's space on chest wall is due to which underlying structure?
1. Base of lung
2. Fundus of stomach
3. Left costo-diaphragmatic recess
4. Left sub phrenic space

Correct answer: 2. Fundus of stomach

Explanation: Fundus of stomachPercussion for splenomegaly: The normal human spleen measures about 125 millimeters in length, and splenomegaly is an important clinical sign.There are 2 possibilities to evaluate splenomegaly in the clinical examination: percussion and palpation. Percussion can be done in this space.Beneath Traube's space lies the stomach, which produces a tympanic sound on percussion. Dullness to percussion over Traube's space may indicate splenomegaly, although this can also be a normal finding after a meal.